A Patient presents with multiple secondary type of lesions in liver, non responding diarrhea and, flushing. It is most probably due to a lesion in:
1. Liver
2. Stomach
3. Small intestine
4. Large intestine

Correct answer: 3. Small intestine

Explanation: Small intestine